Which of the following is antipseudomonal penicillin ?
1. Cephalexin
2. Cloxacillin
3. Piperacillin
4. Dicloxacillin

Correct answer: 3. Piperacillin

Explanation: Ans. is 'c' i.e., Piperacillin Drugs acting against Pseudomonas. Penicillins - Piperacillin, Carbenicillin, Ticarcillin, Mezlocillin. Cephalosporins - Ceftazidime, Cefoperazone, Cefepime. Carbapenems - Imipenem, meropenem Monobactams - Aztreonam. Aminoglycosides - Tobramycin, Gentamycin, Amikacin. Fluroquinolones - Ciprofloxacin, Levofloxacin, Norfloxacin.. Other - Polymixin B, Colistin. For most of the infection of pseudomonas, treatment of choice is the combination of an antipseudomonal 13-lactam and an aminoglycoside.